BPAD includes:
1. Recurrent depressive episodes
2. Recurrent manic episodes
3. All
4. Manic episodes and dysthymia

Correct answer: 2. Recurrent manic episodes

Explanation: B i.e. Recurrent manic episodes